Which of the following tumors is not commonly known to increase in size during pregnancy ?
1. Glioma
2. Pituitary adenoma
3. Meningioma
4. Neurofibroma

Correct answer: 1. Glioma

Explanation: Answer is option 1 Glioma Tumors which increase in pregnancy are : Meningioma, angioma, neurofibroma,pituitary adenoma (micro and macro) Ref.. Williams Obs 23/e p 1140 for options b and c For option d p1255